The components of fourth generation dentin bonding systems are described as
1. Self etching adhesive
2. Self etching primer/adhesive
3. Total etch, multi bottle
4. Total etch, single bottle

Correct answer: 3. Total etch, multi bottle

Explanation: As in the fourth-generation adhesives, enamel and dentin are etched simultaneously; these systems were initially called the “total-etch” technique, now they are commonly known as the “three-step etch-and-rinse” technique.
Ref : Talal A, Nasim HM, Khan AS. Enamel etching and dental adhesives. InAdvanced Dental Biomaterials 2019 Jan 1 (pp. 229-253). Woodhead Publishing